A man is using nasal drops continuously for long period of time. What can be the possible adverse effect from its use?
1. Mulberry turbinate
2. Allergic rhinitis
3. Vasomotor rhinitis
4. Rhinitis Medicamentosa

Correct answer: 4. Rhinitis Medicamentosa

Explanation: Continuous use of nasal decongestants for a long period of time result in severe mucosal edema, hyperemia, and nasal obstruction. On physical examination, the nasal mucosa will be thickened, erythematous, and edematous and will lack appreciable decongestion on topical decongestant application. Treatment of this condition includes complete cessation of the offending agent, followed by the use of nasal saline lavage and nasal topical steroids. Use of oral decongestants and a course of oral corticosteroids may help hasten symptom resolution and increase patient compliance. Resolution usually takes 3-4 weeks. Complications of untreated rhinitis medicamentosa include poor healing after nasal surgery, septal perforation, and formation of synechiae.